Which one of the following is the contraceptive method of choice for a commercial sex worker :
1. OC pills
2. IUCD
3. Tubectomy
4. Barrier method

Correct answer: 4. Barrier method

Explanation: Barrier method